All of the following are expectorants except
1. Hypertonic saline
2. Guaifenesin
3. Ammonium chloride
4. Noscapine

Correct answer: 4. Noscapine

Explanation: Noscapine is a central acting antitussive, which is an opioid agonist.